Which among the following drugs produces a dose ceiling effect?
1. Morphine
2. Alfentanyl
3. Remifentanyl
4. Buprenorphine

Correct answer: 4. Buprenorphine

Explanation: Buprenorphine is a partial mu receptor agonist. Unlike other opiates buprenorphine has a dose ceiling effect to its respiratory depressant dose response curve. Due to this effect, after the ceiling dose is reached additional dose of the drug will not elicit more respiratory depression. Reference: Clinical Anaesthesia edited by Paul, 6e page 490.